Giant papillary conjunctivitis can be secondary to:
1. Trachoma
2. Contact lens
3. Phlyctenular conjunctivitis
4. Vernal kerato conjunctivitis

Correct answer: 2. Contact lens

Explanation: Ans. (b) Contact lensGIANT PAPILLARY CONJUNCTIVITIS* It is the inflammation of conjunctiva with formation of very large sized papillae.* Cause: It is a localized allergic response to a physically rough or deposited surface (contact lens, prosthesis, left out nylon sutures).* Symptoms: Itching, stringy discharge and reduced wearing time of contact lens or prosthetic shell.* Treatment: The offending cause should be removed.# Disodium cromoglycate is known to relieve the symptoms and enhance the rate of resolution. GIANT PAPILLARY CONJUNCTIVITIS* It is the inflammation of conjunctiva with formation of very large sized papillae.* Cause: It is a localized allergic response to a physically rough or deposited surface (contact lens, prosthesis, left out nylon sutures).* Symptoms: Itching, stringy discharge and reduced wearing time of contact lens or prosthetic shell.* Treatment: The offending cause should be removed.# Disodium cromoglycate is known to relieve the symptoms and enhance the rate of resolution.